Root value of axillary nerve is
1. C5 C6
2. C7 C8
3. C8 T1
4. C5 C6 C7 C8 T1

Correct answer: 1. C5 C6

Explanation: AXILLARY NERVE:-Root value: C5, C6Arises from the posterior cord of brachial plexus, near lower border of the subscapularis.Runs backward on Subscapularis to pass through quadrangular space along with posterior circumflex humeral artery.Here it is related to surgical neck of humerus.Nerve gives branch to shoulder joint and divide into anterior and posterior division.Anterior division:- teres minor and posterior part of deltoid.Continues as upper lateral cutaneous nerve of arm and supplies skin over deltoid.Posterior division:-continues horizontally between deltoid and surgical neck of humerus along with posterior circumflex humeral vessels.supplies deltoid and few branches to innervate skin.Risk of damage in inferior dislocation of the head of humerus and fracture surgical neck humerus.Clinical presentation:-Impaired abduction of shoulder.Loss of sensation over lower half of deltoid- regimental badge area.Loss of shoulder contour with prominence of greater tubercle.{Reference:Vishram Singh, pg no. 78}